Which of the following liver tumours always merit surgery
1. Hemangioma
2. Hepatic adenoma
3. Focal nodular hyperplasia
4. peliosis hepatic

Correct answer: 2. Hepatic adenoma

Explanation: .Hepatic Adenomas - * They are common in females. They present as a solitary nodular lesion in the liver. * It is said to be due to use of oral contraceptive pills (OCP's). * It is uncommon in males. * They might turn into malignancy, hence resection is advised. * U/S, CT scan are diagnostic but angiography is needed prior to resection, as it is vascular. * MRI is an ideal tool. * Haemorrhage is more common. * Hepatic adenoma cells are larger, contain glycogen and lipids. They are devoid of bile ducts whereas FNH contains bile duct components. * AFP may be raised if it has turned into malignancy. * Surgical resection is the needed treatment. * OCP should be stopped. Indications for surgical resection: * Rupture of adenomas - 50% * If there is a possibility of turning into malignancy (large adenomas). Kupffer cells are not present in hepatic adenomas ref: SRB's manual of surgery,3 rd ed, pg no 539